Which of the following types of bias can be reduced by by allowing equal interview time-
1. Berkesonian bias
2. Recall bias
3. Selection bias
4. Interviewer bias

Correct answer: 4. Interviewer bias

Explanation: Interviewer's bias Occur when interviewer knows the hypothesis and know who the cases are. This type of bias can be eliminated by double-blinding. (refer pgno:74 park 23 rd edition)